Hereditary spherocytosis is characterized by:
1. Anemia
2. Splenomegaly
3. Jaundice
4. All of the above

Correct answer: 4. All of the above

Explanation: Ans. D i.e. All of the above